Scattered diagram represents
1. Trend over time
2. Pie chart
3. Association between two variables
4. Frequencies telling occurrences

Correct answer: 3. Association between two variables